Foster Kennedy syndrome is -
1. I/L Papilloedema C/L optic atrophy
2. I/L Optic atrophy C/L papilloedema
3. I/L Optic atrophy and papilloedema
4. I/L Papilloedema C/L Papillitis

Correct answer: 2. I/L Optic atrophy C/L papilloedema